What is the 1st event to occur due to activation of baroreceptors?
1. Inhibition of Rostral Ventrolateral medulla
2. Stimulation of Nucleus tractus Solitarus
3. Stimulation of Cardio Vagal Centre
4. Stimulation of Caudal Ventro lateral Medulla

Correct answer: 2. Stimulation of Nucleus tractus Solitarus